All of the following antihypertensives decrease plasma renin activity except-
1. Clonidine
2. Methyldopa
3. Atenolol
4. Chlorothiazide

Correct answer: 4. Chlorothiazide

Explanation: Ans. is d i.e., Chlorothiazide